Dangerous area of the eye is
1. Retina
2. Sclera
3. Ciliary body
4. Optic nerve

Correct answer: 3. Ciliary body

Explanation: Any trauma to the ciliary body can cause sympathetic ophthalmitis ; hence it is considered the dengerous area of the eye